In renal transplant recipients which is likely organism coursing reactivation dis within I 4 months after surgery
1. EBV
2. CMV
3. HSV
4. VZV

Correct answer: 2. CMV

Explanation: Cmv is the viral agent causing opportunistic disease especially b/w 1-4 months after surgery 3 in transplant recipients ref : ananthanaryana